Proved association of celiac sprue is with-
1. Dermatitis herpeitformis
2. Sclerodenna
3. Pemphigus
4. Pemphigoid

Correct answer: 1. Dermatitis herpeitformis